Narrowest part of Fallopian Tube is:
1. Interstitial portion
2. lsthmus
3. lnfundibulum
4. Ampulla

Correct answer: 1. Interstitial portion

Explanation: Interstitial portion Important Facts about Fallopian Tube : 1. Length = 4 inches or 10 - 12 cms. 2. Parts are : a. Interstitium (Intramural) : 1.8 cm long and 1 mm diameter (narrowest padeg). It has no longitudinal muscles, only circular muscles are present.deg Isthmus 3.5cm long and 2mm in diameter.deg Ampulla : widestdeg and longest padeg 6-7.5cm and fertilization occurs heredeg Fimbria/infundibulumdeg 3. Blood supply - Tubal branch of ovarian and uterine artery.deg 4. Lymphatics - Via ovarian vessels to para-aortic nodes and uterine vessels to internal iliac nodes.deg 5. Histologically - Fallopian tubes have unique type of cells called as Peg cellsdeg whose function is not known.deg Also know : Friends, some other measurements are commonly asked in PGME exams from female genital Tract. I am listing a few of them : Structure Measurement Isthumus which forms Inwpr laprinp gpampnt 5-6mmt) Female urethra 35-40 mmdeg Posterior vaginal wall 11.5 cms Anterior vaginal wall 9 cms Uterus(Nulliparous) 8 cm X 6 cm X 4 cm Cervix 2.5- 3.5 cms Ovary 3.5 cms length